Boyce sign is seen in
1. Epiglottis
2. Zenkers diverticulum
3. Plummer-Vinson syndrome
4. Barretts esophagus

Correct answer: 2. Zenkers diverticulum

Explanation: Zenkers diverticulum - A Zenker's diverticulum, also pharyngeal pouch, is a diverticulum of the mucosa of the human pharynx, just above the cricopharyngeal muscle. It is a pseudo diverticulum. Boyce sign:- Boyce's sign, a gurgling sound due to noise of splashing fluid accumulated in a large Zenker's diverticulum, can be heard on palpation. Although small diverticula might not cause symptoms, larger diverticula are usually symptomatic and surgery could be warranted. Ref:- Dhingra; pg num:-275